In severe heat strain the heat stress index (HIS) is –
1. 10–30
2. 40–60
3. 70–90
4. 100

Correct answer: 2. 40–60